All are true regarding oral hypoglycemic agent, EXCEPT :
1. Effective only after total pancreatectomy
2. Metformin causes lactic acidosis
3. Causes release of insulin from beta-cells
4. Useful in obese maturity onset diabetics

Correct answer: 1. Effective only after total pancreatectomy

Explanation: Ans. is 'a' Effective only after total pancreatectomy Mechanism of action of sulfonylureasPresence of at least 30% functional pancreas is necessary for the action of oral hypoglycemics (Sulfonyl ureas).They act on sulfonylurea receptors present on beta cells of pancreas. This increase insulin secretion.Oral hypoglycemics are used only in uncomplicated type 11 diabetes (N1DDM).Both phenformin and metformin cause lactic acidosis (Phenformin > metformin).